Ifosfamide is an -
1. Alkylating agent
2. Antimetabolite
3. Folate antagonist
4. Plant alkaloid

Correct answer: 1. Alkylating agent

Explanation: Ans. is 'a' i.e., Alkylating agent